Drug of choice in amoebic liver abscess is
1. Metronidazole
2. Ciprofloxacin
3. Emetine
4. Chloroquine

Correct answer: 1. Metronidazole

Explanation: (A) Metronidazole # Metronidazole acts directly on the trophozoites of E. histolytica. Because of high concentration in liver extensively small amounts of drug (800 mg, TDS X 5-10 days) effective in Amoebic Liver Abscess.